For extraction in a leukemic patient:
1. Consult physician
2. Obtain WBC count
3. Obtain platelet count
4. All of the above

Correct answer: 4. All of the above